Hirschberg test is used to detect?
1. Squint
2. Field defects
3. Glaucoma
4. Optic atrophy

Correct answer: 1. Squint

Explanation: A misalignment of the visual axes of the two eyes is called squint or strabismus. Estimation of the angle of deviation in squint is detected by Hirschberg corneal reflex test. Hirschberg corneal reflex test: Roughly the angle of squint is 15 degree and 45 degree when the corneal light reflex falls on the border of the pupil and limbus respectively. Ref: Review of Ophthalmology A.K.Khurana 5th Ed page 145.